The brushing technique indicated for young children is
1. Fones method
2. Modified Stillman technique
3. Modified Bass
4. Charter's technique

Correct answer: 1. Fones method